The only part of an odd chain fatty acid that is glucogenic:
1. Propionyl CoA
2. Acetyl CoA
3. Malonyl CoA
4. Acyl CoA

Correct answer: 1. Propionyl CoA

Explanation: Fatty acids with an odd number of carbon atoms are oxidized by  the  pathway  of  β-oxidation  described above producing acetyl CoA until a three-carbon (propionyl-CoA) residue remains. This compound is converted to succinyl-CoA, a constituent of the citric acid cycle. Hence, the propionyl residue from an odd-chain fatty acid is the only part of a fatty acid that is glucogenic.
HARPERS ILLUSTRATED BIOCHEMISTRY30th ed page no.225